Leprosy does not involve –
1. CNS
2. Testis
3. Skin
4. Cornea

Correct answer: 1. CNS

Explanation: Lepra bacilli grows better in cooler places, therefore warmer areas of skin and internal organs are spared. Such areas are axilla, groin, scalp, nzidline back, ovaries, lung and CNS.